Buccopharyngeal membrane develops from:
1. Ectoderm + Mesoderm
2. Ectoderm + Endoderm
3. Mesoderm + Endoderm
4. Ectoderm + Mesoderm + Endoderm

Correct answer: 2. Ectoderm + Endoderm

Explanation: Oropharyngeal membrane of ectoderm + endoderm represents future opening of oral cavity.